Baroreceptor are ?
1. Carotid body
2. Carotid sinus
3. Aortic body
4. None

Correct answer: 2. Carotid sinus